Surfactant is secreted by which of the following:
1. Type I pneumocyte
2. Type II pneumocyte
3. Sertoli cell
4. Leydig cell

Correct answer: 2. Type II pneumocyte

Explanation: Type I pneumocyte: Involved in gas exchange makes up 80-90% of alveolar cells. Type II pneumocyte: Secrete surfactant makes up 5-10 % area alveolar cells. Sertoli cell: Present in seminiferous tubules, responsible for nourishment spermatozoa during spermatogenesis, has FSH receptors & secrete inhibin. Leydig cell: Produces testosterone in response to LH.